Safe yield of a water supply source is the yield that is adequate for?
1. 80% of the year
2. 90% of the year
3. 95% of the year
4. The whole of the year

Correct answer: 3. 95% of the year

Explanation: Water for meeting the requirements of a community can be obtained from various sources like rain, surface water and groundwater. The safe yield of a source of water is defined as the yield that is adequate for 95% of the year. Ref: Park's Textbook of Preventive and Social Medicine, 20th edition, p617